A 50-year male quartz quarry worker presents with progressive dyspnoea on exertion. Which of the following is the likely pneumoconiosis?
1. Asbestosis
2. Byssinosis
3. silicosis
4. Berylliosis

Correct answer: 3. silicosis

Explanation: The major occupational exposures of free silica(SiO2)or crystalline quartz,include mining,stonecutting,employment in abrasive industries such as stone,clay,glass & cement manufacturing,foundry work,packing of silica flour,and quarrying particularly of granite. Asbestosis is caused by exposure to asbestos-mining,processing,construction,ship repair.Berylliosis is caused by exposure to beryllium-processing alloys for high-tech industries.Exposure to organic dusts like cotton dust-milling,processing can produce byssinosis,which is an asthma-like syndrome. Ref:Harrison's medicine-18th edition,page no:2123